Which of the following cement has most anticariogenic effect used while placing bands on molar to prevent caries?
1. GIC
2. Polycarboxylate
3. Zinc phosphate
4. Silicate

Correct answer: 1. GIC

Explanation: GIC has fluoride releasing property and it also binds with the tooth chemically. So, it should be the cement of choice.